Which of the following drug is used in sickle cellanemiaaEUR'
1. >Hydroxyurea
2. >Carmustine
3. > Paclitaxel
4. >Bleomycin

Correct answer: 1. >Hydroxyurea

Explanation: Hydroxyurea Although several pharmacological agents have been studies for the treatment of sickle cell disease the only drug currently approved by the U.S. food and drug administration for the treatment of sickle cell disease is hydroxyurea. Hydraiyurea increases total and, fetal hemoglobin in children with sickle cell disease. - The increase in fetal hemoglobin retards gestation and sickling of RBC's. - Hydroxyurea also reduces the level of circulating leucocytes. This decreases the adherence of neutrophils to the vascular endothelium in turn, these effets reduce the incidence of pain episodes and acute chest syndrome episodes